All of the following are features of wilson's disease, except-
1. Hemolytic anemia
2. Testicular atrophy
3. Chorea
4. Chronic active hepatitis

Correct answer: 2. Testicular atrophy

Explanation: Answer is B (Testicular Atrophy) Testicular Atrophy is not documented as a feature of Wilson's disease. Hemolytic Anemia, Chorea and Chronic active hepatitis are documented manifestations of Wilson's disease. Hemolytic Anemia is a feature of Wilson disease Hemolytic Anemia may occur in severe hepatic failure because large amounts of copper derived from Hepatocellular damage are released into the blood stream. . The association of hemolvsis and liver disease makes Wilson's a likely diagnosis '- Harrison Chorea is a feature of Wilson's disease Chorea is an established Neurological manifestation of wilson's disease Chronic Active hepatitis is a feature of Wilson's disease Wilson's disease may present as fatty change, acute hepatitis, chronic active hepatitis, cirrhosis or massive hepatic necrosis.